All are contents of axilla, except ?
1. Axillary tail of breast
2. Axillary vessels
3. Axillary sheath
4. Roots of brachial plexus

Correct answer: 4. Roots of brachial plexus

Explanation: Ans. is 'd' i.e., Roots of brachial plexusContents of axillaThree cords of brachial plexus and their branches.Axillary artery and its branches.Axillary vein and its tributaries, including the terminal part of cephalic vein.Axillary group of lymph nodes.Axillary sheath, prolongation of prevertebral layer of deep cervical fascia around axillary artery and cords of brachial plexus.In females, the axillary tail of Spence.Long thoracic and intercostobrachial nerves.